A boy complained of unprovor de by a local dog in the community. The dog was lin.' caught by the local animal authorities and appeared to be healthy. The most appropriate course of action would be:
1. Give post-exposure prophylaxis to the bitten person with cell-culture derived vaccine
2. Withhold vaccination, keep the dog under observation for ten days for signs of rabies
3. Test the dog for rabies antibodies
4. Immediately carry out euthanasia of the dog

Correct answer: 1. Give post-exposure prophylaxis to the bitten person with cell-culture derived vaccine

Explanation: Ans. a. Give post-exposure prophylaxis to the bitten person with cell-culture derived vaccine A boy complained of unprovoked bite by a local dog in the community. The dog was later caught by the local animal authorities and appeared to be healthy. The most appropriate course of action would be give post-exposure prophylaxis to the bitten person with cell-culture derived vaccine. -The vast majority of patients requiring anti-rabies treatment are those who were bitten by a suspected rabid animal. The aim of post-exposure prophylaxis is to neutralize the inoculated virus before it can enter the nervous system. Every instance of human exposure should be treated as a medical emergency. It is now well established that irrespective of the class of wound, the combined administration of a single does of rabies immunoglobulin if indicated, with a course of vaccine, together with local treatment of the wound is the best specific prophylactic treatment after exposure of a man to rabies." Post-Exposure Prophylaxis The vast majority of patients requiring anti-rabies treatment are those who were bitten by a suspected rabid animal. Aim: To neutralize the inoculated virus before it can enter the nervous systemQ. Every instance of human exposure should be treated as a medical emergency. It is now well established that irrespective of the class of wound, the combined administration of a single does of rabies immunoglobulin if indicated, with a course of vaccine, together with local treatment of the wound is the best specific prophylactic treatment after exposure of a man to rabiesQ. Since their development more than four decades ago, concentrated and purified cell-culture vaccine (CCV) and embryonated egg-based vaccine (EEV) have proved to be effective and safe in preventing rabiesdeg. These vaccines are intended for pre-exposure as well as post-exposure prophylaxis. Categories of contact with suspected Rabid anima Post-exposure prophylaxis measure Touching or feeding animals Licks on intact skin NoneQ Nibbling of uncovered skin Immediate vaccination and local Minor scratches or abrasions without bleeding treatment of the woundQ Single or multiple transdermal bites or scratches Immediate vaccination and Licks on broken skin administration of rabies immunoglobulin Contamination of mucous membrane with saliva from licks and local treatment of the woundQ Contact with bats